Disulfiram-like reaction is caused by:
1. Acamprostate
2. Metronidazole
3. Tetracycline
4. Digitalis

Correct answer: 2. Metronidazole

Explanation: Ans. Metronidazole